Prolonged use of one of the following anticonvulsant drugs can produce weight loss :
1. Gabapentin
2. Oxcarbazepine
3. Topiramate
4. Valproic acid

Correct answer: 3. Topiramate